The MR imaging in multiple sclerosis will show lesions in –
1. White matter
2. Grey matter
3. Thalamus
4. Basal ganglia

Correct answer: 1. White matter

Explanation: Multiple sclerosis is primary demyelinating disease of white matter.